Each kidney contains about -- nephrons ?
1. One million
2. Two million
3. Four million
4. 5 million

Correct answer: 1. One million

Explanation: A i.e., One million